The most commonly affected component of the lateral collateral ligament complex in an "ankle sprain" is the:
1. Middle component
2. Anterior component
3. Posterior component
4. Deeper component

Correct answer: 2. Anterior component

Explanation: B i.e. Anterior component